HSV-2 (Herpes simplex) causes -
1. Oral ulcers
2. Genital ulcers
3. U.T.I.
4. Pharyngitis

Correct answer: 2. Genital ulcers

Explanation: Ans. is 'b' i.e., Genital ulcerHERPES SIMPLEX VIRUS (HSV)HSV Type 1HSV Type 2o Cause lesion in and around mouthCause lesion around genital areao Transmitted by direct contact or droplet spreadUsually transmitted sexuallyo Replicate poorly in chick embryo fibroblast cellReplicate wello Relatively sensitive to antiviral agentsResistanto Less neurovirulentMore neurovirulento Infectivity is less temperature sensitiveMore temperature sensitiveo Site of latency-trigeminal gangliaSacral gangliao On chick embryo CAM. form smaller pockForm larger pock